Single file pattern is seen in breast cancer type-
1. Intraductal
2. Infiltrating lobular
3. Infiltrating ductular
4. All of the above

Correct answer: 2. Infiltrating lobular